Neovascular glaucoma may be associated with all of the following except:
1. Diabetes
2. Hypertension
3. Central retinal vein occlusion
4. Intraocular tumours

Correct answer: 2. Hypertension

Explanation: Ans. Hypertension